Premature filling of veins on cerebral angiography is a feature of
1. Trauma
2. Brain tumour
3. Arteriovenous malformation
4. Arterial occlusion

Correct answer: 3. Arteriovenous malformation